Method of measuring blood loss is/are:
1. Weighing swab.
2. Measurement of swelling in closed fractures.
3. Measurement of blood clot.
4. All of the above.

Correct answer: 4. All of the above.